Type4 Ehlers-Danlos syndrome is characterized by:
1. Deficiencies in hydroxylase and lysyl oxidase.
2. Decreased amount of type III collagen.
3. Nonfunctioning plasma fibronectin.
4. All of the above.

Correct answer: 2. Decreased amount of type III collagen.

Explanation: In EDS types I and II, the classic variety, causative mutations may involve the COL5A1, COL5A2, and tenascin-X genes. Type IV is characterized by a decreased amount of type III collagen. Types V and VI are characterized by deficiencies in hydroxylase and lysyl oxidase, an important posttranslational modifying enzyme in collagen biosynthesis. Type VII has an amino-terminal procollagen peptidase deficiency. Type IX has abnormal copper metabolism. Type X has nonfunctioning plasma fibronectin.